True about metastatic calcification is
1. Calcium level is normal
2. Occurs in dead and dying tissue
3. Occurs in damaged heart valve
4. Mitochondria involved earliest

Correct answer: 4. Mitochondria involved earliest

Explanation: Ref, Robbins 8/e p38;7/e p41-42,9/e p65